All of the following are adverse effects of sodium valproate EXCEPT :
1. Weight gain
2. Alopecia
3. Liver damage
4. Osteomalacia

Correct answer: 4. Osteomalacia